A 2-year-old girl presented with recurrent abdominal pain. She was admitted in pediatrics for detailed work up. When her blood was drawn for investigation it was milky white. Yellowish white papules noted on the dorsum of hands. On fundoscopic examination opalescent retinal vessels were seen. Fasting triglycerides >1000mg/dL, but cholesterol level was normal. What is the diagnosis?
1. Familial chylomicronemia syndrome
2. Familial defective Apo B
3. Sitostrelomia
4. Familial dysbetalipoproteinemia

Correct answer: 1. Familial chylomicronemia syndrome

Explanation: Ans. A. Familial chylomicronemia syndromeIdentifying features are* Recurrent abdominal pain due to pancreatitis* Milky white plasma* Eruptive xanthoma* Lipemia retinalis* Very high triglycerides* Normal cholesterol